Hysteresis in a hydrocolloid gel is
1. Moisture absorption
2. Temperature lag between gelation and liquefaction temperature
3. Phenomenon of conversion of gel into sol
4. All the above

Correct answer: 2. Temperature lag between gelation and liquefaction temperature